Dissociative anesthesia is seen with which drug:
1. Ketamine
2. Fentanyl
3. Propofol
4. Nitrous oxide

Correct answer: 1. Ketamine

Explanation: Ans. A. KetamineKetamine is NMDA receptor antagonist, they are strong analgesic with no muscle relaxant property. It is used to create dissociative anesthesia in which patient dissociate from one own body.